Acute inflammatory demyelinating polyneuropathy (AIDP) is the most common form of
1. Guillian Barre syndrome
2. Miller Fisher syndrome
3. Chinese paralytic syndrome
4. Bickerstaff's brainstem encephalitis

Correct answer: 1. Guillian Barre syndrome

Explanation: (A) Guillian Barre syndrome # Acute Inflammatory Demyelinating Polyneuropathy (AIDP): is the most common form of GBS, and the term is often used synonymously with GBS. It is caused by an autoimmune response directed against Schwann cell membranes.> Miller Fisher syndrome (MFS): \s a rare variant of GBS and manifests as a descending paralysis, proceeding in the reverse order of the more common form of GBS. It usually affects the eye muscles first and presents with the triad of ophthalmoplegia, ataxia, and areflexia. Anti-GQ1b antibodies are present in 90% of cases.> Acute motor axonal neuropathy (AMAN), or Chinese paralytic syndrome, attacks motor nodes of Ranvier and is prevalent in China and Mexico. It is probably due to an autoimmune response directed against the axoplasm of peripheral nerves. The disease may be seasonal and recovery can be rapid. Anti-GD1a antibodies are present. Anti-GD3 antibodies are found more frequently in AMAN.> Bickerstaff's brainstem encephalitis (BBE):, is a further variant of Guillain-Barre syndrome. It is characterized by acute onset of ophthalmoplegia, ataxia, disturbance of consciousness, hyperreflexia or Babinski's sign. The course of the disease can be monophasic or remitting-relapsing. Large, irregular hyperintense lesions located mainly in the brainstem, especially in the pons, midbrain and medulla are described in the literature. BBE despite severe initial presentation usually has a good prognosis. Magnetic resonance imaging (MRI) plays a critical role in the diagnosis of BBE. A considerable number of BBE patients have associated axonal Guillain-Barre syndrome, indicative that the two disorders are closely related and form a continuous spectrum.